In case of hill journey, antimotion sickness drugs are best administered at:
1. Twelve hours before commencing journey
2. One hour before commencing journey
3. Immediately after commencing journey
4. At the first feeling of motion sickness

Correct answer: 2. One hour before commencing journey

Explanation: (Ref: KDT 6/e p641) Hyoscine is administered half to one hour before journey for prevention of motion sickness. It has no role once the vomiting starts.